A 29-year-old woman underwent a thyroidectomy. Postoperatively, the patient presented with hoarseness. Which of the following nerves was most likely injured during the operation?
1. Internal laryngeal
2. External laryngeal
3. Recurrent laryngeal
4. Superior laryngeal

Correct answer: 3. Recurrent laryngeal

Explanation: The recurrent laryngeal nerve supplies most of the motor innervation to the larynx and sensation below the true vocal folds. The thyroid gland and the recurrent laryngeal nerve are in close proximity and thus the nerve is likely to be injured with a thyroidectomy. Injury to the recurrent laryngeal nerve can result in speech defects, including hoarseness. The superior laryngeal nerve has two branches: the internal laryngeal nerve innervates the mucous membranes of the larynx above the vocal folds, and the external laryngeal nerve innervates the cricothyroid muscle, which tenses the vocal folds. The glossopharyngeal nerve is located superiorly to the true vocal folds and would not be affected by this procedure.